A patient operated for thyroid surgery for a thyroid swelling, later in the evening developed difficulty in breathing. There was swelling in the neck. The immediate management would be -
1. Epinephrine inj
2. Tracheostomy
3. IV calcium gluconate
4. Open the wound sutures in the ward

Correct answer: 4. Open the wound sutures in the ward